The most common presentation of endemic goitre
1. Diffuse goitre
2. Solitary nodule
3. Hypothyroid
4. Hyperthyroid

Correct answer: 1. Diffuse goitre

Explanation: Endemic Goiter Worldwide, diffuse goiter is most commonly caused by iodine deficiency and is termed endemic goiter when it affects >5% of the population Endemic goiter occurs in geographical areas where soil, water and food supply contains low levels of iodine The lack of iodine leads to decreased Synthesis of thyroid hormones and a compensatory increase in TSH which in turn leads to follicular cell hypertrophy and hyperplasia and goitrous Enlargement leading to diffuse hyperplastic goiter Mostly, patients are euthyroid Ref : Harrison's 19th edition Pgno :2301